Synthesis of rRNA takes place in ?
1. Cytosol
2. Nucleus
3. Nucleolus
4. Mitochondria

Correct answer: 3. Nucleolus

Explanation: Ans. is 'c' i.e., Nucleolus Organelle Function Nucleolus Site of synthesis of r-RNA Ribosomes Site of protein synthesis, translation of mRNA RER / Site of protein synthesis Granular ER (e.g. hormones, proteins found in enzyme) SER / Agrannlar Site of steroid synthesis I0 ER detoxification / FA elongation Golgi Body Processing / packaging, intracellular sorting of proteins, formation of lysosomes Lysosomes Contain digestive / lytic enzymes and hydrolases (suicidal bags of cell) Peroxisomes Contain oxidases